Mechanism of action of atropine in treatment of organophophate poisoning is?
1. It inhibits secretion of acetylcholine
2. It is reactivator of acetylcholine esterase enzyme
3. It has antimuscarinic activity
4. It is agonist of acetylcholine receptors

Correct answer: 3. It has antimuscarinic activity

Explanation: Organophosphates AcHE inhibitors (acetylcholine cannot be broken) Level of acetyl choline increases Stimulate nicotinic & muscarinic receptors Over activity of M1- acidity M2- bradycardia M3- bronchoconstriction, secretion, diarrhea & urination Atropine is DOC for organophosphate poisoning But atropine doesn't block the nicotinic receptors (muscle weakness)